Popcorn-cells' are seen in which variety of hodgkin's disease -
1. Nodular sclerosis
2. Mixed cellularity
3. Lymphocyte predominance
4. Lymphocyte depletion

Correct answer: 3. Lymphocyte predominance

Explanation: Popcorn cells are found in lymphocytic predominant type of Hodgkin's Lymphoma.